"Accole forms" are seen in
1. P. falciparum
2. P.Vivax
3. P. Ovale
4. P. malariae

Correct answer: 1. P. falciparum

Explanation: Ans. a P. falciparum (paniker parasitology 7th ed., p 80) In P. falciparum multiple rings with "accole" forms are seen.CharacteristicsP. FalciparumP. VivaxP. OvaleP. MalariaeAsexual parasitesUsually only fine blue ring forms (some resembling stereo headsets) are seen Parasitemia level may exceed 2%.Irregular, large, fairly thick rings become highly pleomorphic as the. parasite grows. Parasitemia level is low.Regular, dense ring enlarges to compact, blue, mature trophozoite (rectangular or band-form). Parasitemia level is low.Dense, thick rings mature to dense, round trophozoites. Parasitemia level is lowSchizontsRare in peripheral blood; 8-32 merozoites, dark brown-black pigmentCommon; 12-18 merozoites, orange-brown pigment8-14 merozoites, brown or black pigment8-10 merozoites, dark brown or black pigmentGametocytesBanana-shaped; male: light blue; female: darker blue; a few scattered blue-black pigment granules in cytoplasmRound or oval; male: round, pale blue; female: oval, dark blue; triangular nucleus, a few orange pigment granulesLarge, round, dense, and blue (like P. malariae), but prominent James's dots; brown pigmentLarge, oval; male: pale blue; female: dense blue; large black pigment granulesRBC changesRBCs are normal in size. As the parasite matures, the RBC cytoplasm becomes pale, the cells become crenated, and a few small red dots may appear over the cytoplasm (Maurer's clefts).RBCs are enlarged. Pale red Schuffner's dots increase in number as the parasite matures.RBCs become oval with tufted ends. Red James's dots are prominent.RBCs are normal in size and shape. No red dots are seen.